Row of tombstone is seen in which skin disorder:
1. Pemphigus vulgaris
2. Pemphigus foliaceous
3. Paraneoplastic pemphigus
4. Bullous pemphigoid

Correct answer: 1. Pemphigus vulgaris

Explanation: Ans. A. Pemphigus vulgaris* Pemphigus vulgaris is characterized by following signs:1. Bulla spread sign2. Perilesional, and distant Nikolsky sign3. Tzanck smear: Acantholytic cell* Histopathology shows suprabasal blister with row of tomb stone appearance of basal cells.* Direct immunofluorescence from perilesional skin demonstrated intra epidermal IgG deposits' in a fishnet pattern.